Monro-Kellie doctrine is related to injury of
1. Head
2. Abdomen
3. Chest
4. Leg

Correct answer: 1. Head

Explanation: An increase in volume of any one of rhe three components brain,blood, CSF must be at the expense of other two Brain is least compressible among the three Ref:Guyton and Hall textbook of medical physiology 12th edition,page number:813,814,815